A patient presents with erythematous scaly lesions on extensor aspect of elbows and knee. The clinical diagnosis is got by –
1. Auspitz sign
2. KOH smear
3. Tzanck smear
4. Skin biopsy

Correct answer: 1. Auspitz sign

Explanation: Erythematous scaly lesions on extensor aspect of elbow and knee favours the diagnosis of Psoriasis.
The clinical diagnosis of psoriasis can be made by demonstrating Auspitz sign.
It is a characteristic finding of psoriasis in which removal of scale leads to pinpoint bleeding.